Which of the following sensations is most affection by cortical lesion
1. Proprioception
2. Temperature
3. Itch
4. Crude touch

Correct answer: 1. Proprioception

Explanation: Ans. (a) Proprioception(Ref: Ganong, 25th ed/p.169)Cortical sensations are mainly the proprioception, vibratory sensation, two-point discrimination, and stereognosis